Reverse Cold Chain is used for -
1. Carrying stool samples of polio patiens from a PHC to the lab
2. Transporting outdated vaccines from PHC to district hospital
3. Transporting vaccines to lab. to check its potency
4. Transporting vaccine form camps to sub - centre

Correct answer: 1. Carrying stool samples of polio patiens from a PHC to the lab

Explanation: Ans. is 'a' i.e., Carrying stool samples of polio patients from MC to lab "Reverse cold chain" is for transport of viable poliovirus in stool to an investigation centre.